All the following are associated with zygomycosis except
1. Candida
2. Mucor
3. Rhizopus
4. Lichthemia

Correct answer: 1. Candida

Explanation: Zygomycosis or mucormycosis is produced by all the mentioned fungi-these are saprophytes of soil Licthemia may produce keratitis Ref: Baveja 5th ed pg: 560